Fatty liver is due to accumulation of -
1. Triglycerides
2. LDL
3. Lipoprotein a
4. VLDL

Correct answer: 1. Triglycerides

Explanation: Ans. is 'a' i.e., Triglycerides Fatty change (Steatosis )o The term steatosis (fatty change) describe abnormal accumlation of triglyceride within parenchymal cells.